Pancoast tumour causes:
1. Increased sweating
2. Wasting of muscles of hand
3. Destruction of lower ribs
4. Bony metastasis

Correct answer: 2. Wasting of muscles of hand

Explanation: Pancoast syndrome- neoplasm of the superior sulcus of the lung with destructive lesions of the thoracic inlet, involvement of the brachial plexus and cervical sympathetic nerves 1. Severe pain in the shoulder region radiating toward the axilla and scapula along the ulnar aspect of the muscles of the hand. 2. Radiologic destruction of the first and second ribs 3. Atrophy of hand and arm muscles 4. Horner syndrome 5. Compression of the blood vessels with edema * Most Pancoast tumors are adenocarcinomas >> squamous cell carcinomas. * Involvement of the phrenic or recurrent laryngeal nerve or SVC obstruction is not representative of the classic Pancoast tumor